Cryptococcus neoformans is visualized by?
1. India ink preparation
2. Giemsa stain
3. Grams stain
4. Acid fast stain

Correct answer: 1. India ink preparation

Explanation: ANSWER: (A) India ink preparationREF: Harrisons 18th ed chapter 202Visualization of the capsule of fungal cells in cerebrospinal fluid (CSF) mixed with india ink is a useful rapid diagnostic technique. Cryptococcal cells in India ink have a distinctive appearance because their capsules exclude ink particles